Following are true about cohort study, except:
1. Large number of subjects
2. Expensive
3. Suitable for common diseases
4. Less time consuming

Correct answer: 4. Less time consuming

Explanation: Less time consuming